Regarding thyroid hormone all are true except:
1. T3 is more avidly bound to nuclear receptors than T4
2. T4 has the maximum plasma concentration
3. 13 is more active than T4
4. T4 has shorter half life than T3

Correct answer: 4. T4 has shorter half life than T3

Explanation: D i.e. T4 has shorter half life than T3Plasma T1/2 of T4 is more (6-7 days)Q than T3 (1-2days).